Pseudouridine is seen in
1. DNA
2. tRNA
3. rRNA
4. mRNA

Correct answer: 2. tRNA

Explanation: Pseudouridine Is Excreted Unchanged No human enzyme catalyzes hydrolysis or phosphorolysis of the pseudouridine (ps) derived from the degradation of tRNA molecules. This unusual nucleotide, therefore, is excreted unchanged in the urine of normal subjects. Pseudouridine was indeed first isolated from human urineRef: Harpers Illustrated Biochemistry, 30th edition, page no: 356